Which of the following variabls is measure on ordinal scale-
1. Type of anemia
2. Severity of anemia
3. Hemoglobin
4. Serum ferritin

Correct answer: 2. Severity of anemia

Explanation: Scales can be: Qualitative: Categorical scales: Nominal : eg: names of countries . Dichotomous : eg: yes/no, presence/absence. Ordinal : severity of disease: mild/moderate/severe.eg: staging of cancer, kuppusamy socioeconomic class. Quantitative: Metric scales: Interval Ratio